Digitalis has positive ionotropic effect by the virtue of its effects on
1. Na+K+ ATPase pump
2. Na glucose channels
3. H+ K+ ATPase pump
4. Calcium pump

Correct answer: 1. Na+K+ ATPase pump

Explanation: Effects of digitalis on cell biochemistry: sodium pumpinhibition. It is now generally agreed that Na+-K+ adenosine triphosphatase (ATPase), a transport enzyme derived from the sarcolemmal sodium pump, is the primary site at which digitalis exerts its effects on the myocardial cell. Refer kDT 6/e p497